Most common variety of benign salivary gland tumor is?
1. Mucoepidermoid tumor
2. Mixed cell tumor
3. Warthims tumor
4. Oncocytoma

Correct answer: 2. Mixed cell tumor

Explanation: Ans. is 'b' i.e., Mixed Cell tumor Salivary gland tumors* Most common salivary gland tumor-Pleomorphic adenoma (mixed tumor)* Most Common benign Salivary gland tumor-Pleomorphic adenoma (mixed tumor)* Most Common malignant tumor of salivary gland-Mucoepidermoid Carcinoma* The most Common site of pleomorphic adenoma-Parotid gland* Most common parotid tumor-Pleomorphic adenoma* The most Common site of mucoepidermoid Carcinoma-Parotid gland* The most Common site for acinic cell ca-Parotid gland* The most Common site for adenoid cystic Carcinoma-Minor salivary glands* Multifocal and bilateral Salivary gland tumor-Warthin tumor and acinic cell tumor* Salivary gland tumor with a tendency to invade-Adenoid cystic carcinoma perineural space* Salivary gland tumor with worst prognosis-Adenoid cystic carcinoma* Most malignant salivary gland tumor-Adenoid cystic carcinoma* Most common salivary gland tumor in children-Hemangioma* Most common malignant salivary gland tumor in children-Mucoepidermoid carcinoma